Acantholysis is seen in all except ______:
1. Pemphigus vulgaris
2. Darier's disease
3. Staphylococcal scalded skin syndrome
4. Bullous pemphigoid

Correct answer: 4. Bullous pemphigoid

Explanation: Ans. D. Bullous pemphigoid* Acantholysis is not seen in Bullous pemphigoid.* Acantholysis is the loss of intercellular connections, such as desmosomes, resulting in loss of cohesion between keratinocytes.Acantholysis may be either primary or secondary:Primary Acantholysis* Primary acantholysis is due to the rupture of desmosome first, resulting in circular cells (acantholytic cell).* It is seen in conditions such as Pemphigus vulgaris, Staphylococcal scalded skin syndrome, Darier's disease, Hailey disease.Secondary Acantholysis* Secondary acantholysis is due to the ballooning of the keratinocyte first, leading to the formation of circular acantholytic cell (also known as Tzanck Cell).* It is seen in Herpes simplex infections (HSV 1 and 2) and Varicella zoster infections (Chicken pox and Shingles).Acantholysis; note the rounded and free-floating, detached keratinocytes